Which of the following is the most reliable method of identification of an individual?
1. Scars
2. Anthropometry
3. Dactylography
4. Handwriting

Correct answer: 3. Dactylography

Explanation: Dactylography - The finger print system is the most reliable method of identification of an individual. Fingerprints are impressions of pattern formed by papillary or epidermal ridges of the finger prints. The ridge pattern of fingers appear between 12 -16 weeks of intrauterine life and the formation is completed by 24 weeks. Finger print patterns are classified as loops, whorls, arches and composite. Commonly used powder for lifting fingerprints is grey powder (chalk+Hg) & white powder (French chalk + PbCO3). Ref:The Essentials of Forensic Medicine and Toxicology By Dr K S Narayan Reddy, Pages 75-6